'Sleep apnea' is defined as a temporary pause in breathing during sleep lasting at least?
1. 40 seconds
2. 30 seconds
3. 20 seconds
4. 10 seconds

Correct answer: 4. 10 seconds

Explanation: Apneas in OSA are defined in adults as breathing pauses lasting >10 s assosciated with 3% decrease SaO2 Hypopneas is defined as >30% decrease in airflow for >10 sec associated with 3% decrease in SaO2.